In parotid surgeries, the anatomical markers for localization of the facial nerve include all of the following EXCEPT
1. Posterior belly of digastric
2. Mastoid process
3. Sternocleidomastoid muscle
4. . Inferior belly of omohyoid

Correct answer: 4. . Inferior belly of omohyoid

Explanation: Inferior belly of omohyoid Landmark for facial nerve in parotid surgery a. The pointed lower end of the tragal cartilage b. The bony external auditory meatus c. The mastoid process d. The sternomastoid muscle e. The posterior belly of the digastric f. The retracted lower pole of the parotid gland